Ceftriaxone is :
1. IInd generation short acting cephalosporin
2. Has activity against beta lactamase producing bacteria
3. IVth generation long acting cephalosporin
4. Illrd generation long acting cephalosporin

Correct answer: 4. Illrd generation long acting cephalosporin